Antidote true is all except?
1. Deferoxamine - Iron
2. Flumazenil - BZDs
3. Dimercaprol - Arsenic
4. Naloxone - Dhatura

Correct answer: 4. Naloxone - Dhatura

Explanation: Ans. is 'd' i.e., Naloxone-Dhatura